Ureter is identified at operation by:
1. Rich arterial plexus
2. Peristaltic movement
3. Relation to lumber plexus
4. Accompanied by renal vein

Correct answer: 2. Peristaltic movement

Explanation: Ans. is b, i.e. Peristaltic movementRef: Stud progress in Obs and Gynae Vol 16, p306At operation ureter is recognized by:* Its pale glistening appearance* By a fine longitudinal plexus of vessels on its surface* More particularly by its peristaltic movement* By palpation between finger and thumb as a firm cord which, when escapes, gives a characteristic 'snap'.Absence of pulsation does not serve to identify a structure as ureter because veins and obliterated umbilical artery are also non pulsatile.